Crystalline lens of the eye develops from
1. Mesoderm
2. Neural ectoderm
3. Surface ectoderm
4. Endoderm

Correct answer: 3. Surface ectoderm

Explanation: Answer: c) Surface ectoderm (PARSON 22nd ED, P-5)NEURAL ECTODERMSURFACE ECTODERMMESODERM# Epithelium of iris# Epithelium of ciliary body# Constrictor and dilator pupillae# Retinal pigment epithelium and its 9 sensory layers# Optic vesicle and cup# Optic nerve fibres# Melanocytes# Secondary vitreous# Epithelium of Conjunctiva# Epithelium of cornea# Lacrimal glands# Tarsal glands# Conjunctival glands# Crystalline Lens# Sclera# Corneal stroma# Descemet's membrane# Corneal endothelium# Iris# Choroid# Ciliary muscle# Sheaths of optic nerve# Blood vessels of the eye# Extraocular muscles# Trabecular meshwork# Primary vitreous